All are components of Meig's syndrome. Except -
1. Pleural effusion
2. Ovarian tumour
3. Ascitis
4. Pericardial effusion

Correct answer: 4. Pericardial effusion

Explanation: Ans. is 'd' ' Pericardial effusion (Ref : Shaws, 13/e, p 365 (12/e, p 322))."Meigs syndrome is combination of ovarian fibroma* with ascites* and hydrothorax* usually right sided" - Shaws, 12/e.Other than fibroma, other ovarian tumours associated with this syndrome are -Granulosa tumours*Brenner tumour*